Phase II block is seen in
1. Halothane
2. Ether
3. D-tubocurare
4. Suxamethonium

Correct answer: 4. Suxamethonium

Explanation: Ans. is 'd' i.e. . Suxamethonium Suxamethonium causes Biphasic Block, with dose more than 500mg. Phase I block - Features of classical depolarization block Phase II block - Results from desensitization of receptor to acetylcholine and resembles competitive block and partially antagonized by anticholinesterase.Other frequently asked facts about SuccinylcholineIt is a non-competitive muscle relaxant and has overall shortest duration of action d/t rapid hydrolysis by Pseudocholinesterase.It causes malignant hyperthermia*.It increases muscle tone and causes muscle rigidity.It causes hyperkalemia* in * ParaplegiaTetanusBumIt increases intraocular pressure and intra-abdominal pressure.